Schiller duval bodies are seen in:
1. Endodermal sinus tumour
2. Embryonal carcinoma
3. Dermoid cyst
4. Brenner tumour

Correct answer: 1. Endodermal sinus tumour

Explanation: Ref: Dutta Textbook of Gynecology 5th edition pg.368 Explanation: Schiller duval bodies are characteristic histological feature of endodermal sinus tumour. They are tuft of vascular tissue inside cystic spaces lined by flattened epithelium. ENDODERMAL SINUS TUMOUR aka Yolk Sac Tumour Originate from multipotential embryonal tissue as a result of selective differentiation of yolk sac structures Peak - 15 to 20 years of age Second most common malignant germ cell tumour of ovary Unilateral, solid, >10 cms diameter Micro-schiller duval bodies, eosinophilic hyaline bodies containing alphaprotein Associated with dysgerminoma Treatment- surgical staging and unilateral salpingo oopherectomy Combination chemotherapy - POMB-ACE regimen (cyclophosphamide, vincristine, methotrexate, bleomycin, actinomycin D, cisplatin, etoposide) VAC regimen, VBP regimen Tumor marker- alphafetoprotein >20 microgm/ml. Elevated alpha 1 antitrypsin Respond well to chemotherapy and good survival rate